Gout is a metabolic disorder of
1. Purine
2. Pyramidine
3. Glycogen
4. Fatty acid oxidation

Correct answer: 1. Purine

Explanation: Question repeated